Regarding kidney, all of the following statements are true except:
1. They lie at the vertebral level T12 to L3
2. Retroperitoneal organ
3. Left kidney is situated lower than the right
4. Left kidney is located slightly more medial than the right

Correct answer: 3. Left kidney is situated lower than the right

Explanation: The kidneys are reddish brown and lie behind the peritoneum high up on the posterior abdominal wall on either side of the vertebral column; they are largely under cover of the costal marginThe right kidney lies slightly lower than the left kidney because of the large size of the right lobe of the liver.On the medial concave border of each kidney is a vertical slit that is bounded by thick lips of renal substance and is called the hilum.The hilum transmits, from the front backward, the renal vein, two branches of the renal artery, the ureter, and the third branch of the renal artery (VAUA). Lymph vessels and sympathetic fibers also pass through the hilum.